X-ray showing air column between soft tissue mass and posterior wall of the nasopharynx is suggestive of
1. Ethmoidal polyp
2. Antrochoanal polyp
3. Nasal myiasis
4. None of the above

Correct answer: 2. Antrochoanal polyp

Explanation: In case of antrochoanal polyps, X-ray of paranasal air sinuses may show opacity of the involved antrum. X-ray (lateral view) of soft tissue nasopharynx, reveals a globular swelling in the postnasal space.
It is differentiated from angiofibroma by the presence of a column of air behind the polyp.